In Esophageal cancer prognosis is best determined by:
1. Cellular differentiation
2. Age of patient
3. T stage
4. Length of involvement

Correct answer: 3. T stage

Explanation: Prognosis Long term survival following esophagectomy depends on - Depth of tumor invasion (T) - Number of involved lymph nodes (N) - Location of the tumor in the esophagus Prognosis is better for tumors of the cervical esophagus and at GE junction, in comparison to tumors located in the thoracic esophagus.